All are true about adenoids except -
1. Physiological growth upto 6 years
2. Crypta magna present
3. Present in nasopharynx
4. Supplied by facial artery

Correct answer: 2. Crypta magna present

Explanation: Crypta magna is seen in palatine tonsils.

Adenoids (nasopharyngeal tonsil)

Adenoid is a subepithelial collection of lymphoid tissue at the junction of roof and posterior wall of the nasopharynx.
Unlike tonsils, adenoids have no crypts and no capsule.
Adenoid tissue is present at birth, shows physiological enlargement up to the age of six years and then tends to atrophy at puberty and almost completely disappears by the age of 20.
Adenoids receive their blood supply from :


Ascending palatine branch of facial.
Ascending pharyngeal branch of external carotid.
Pharyngeal branch of the third part of the maxillary artery.
Ascending cervical branch of inferior thyroid artery of thyrocervical trunk.